Radiation of 5 Gy will kill patients in:
1. 1 day
2. 1 week
3. 2-3 weeks
4. 4-6 weeks

Correct answer: 4. 4-6 weeks

Explanation: Ans. D i.e. 4-6 weeks